According to embryologist, embryo is termed till:
1. 8 weeks of fertilization
2. 10 weeks after LMP
3. 10 weeks after fertilization
4. 12 weeks after LMP

Correct answer: 1. 8 weeks of fertilization

Explanation: A i.e. 8 weeks of fertilization